Double blind study means
1. Observer is blind about the study
2. Both observer and person or group being observed is blind about the study
3. Person or group being observed is blind about the study
4. Interpreters and analyzer are blind about the study

Correct answer: 2. Both observer and person or group being observed is blind about the study